Systemic infection is caused by all fungi except
1. Cryptococcus
2. Histoplasma
3. Dermatophytes
4. Paracoccidioides

Correct answer: 3. Dermatophytes

Explanation: Dermatophytes are a group of fungi that infect only superficial keratinised tissue without involving the living tissue. Ref: Baveja textbook of microbiology; 4th edition